Rocker bottom foot is due to -
1. Overtreatment of CTEV
2. Malunited fracture calcaneum
3. Horizontal talus
4. Neural tube defect

Correct answer: 1. Overtreatment of CTEV

Explanation: Ans. is 'a' i.e., Overtreatment of CTEV Rocker bottom footo Rocker bottom foot is a foot with a convex plantar surface with an apex of convexity at the talar head (normal plantar surface is concave). Causes of Rocker Bottom foot areCongenital vertical talusOvercorrection of CTEVImproper correction of CTEV, i.e. forceful correction of equines by dorsiflexion before correction of adduction, varus and inversion.Edward's syndrome, Escobar syndrome, Apert's syndrome.o Congenital vertical talus may be associated with arthrogryposis, Prune belly syndrome, neurofibromatosis, and spinal muscular dystrophy.